Drug of choice for chronic heart failure -
1. ACE inhibitors
2. b-blockers
3. Digoxin
4. Spironolactone

Correct answer: 1. ACE inhibitors

Explanation: Ans. is 'a' i.e., AEC inhibitors o ACE inhibitors are now drug of choice for initial management of heart failure.o Loop diuretics (furosemide) are the DOC for acute heart faiure.o Though the ACE inhibitors are the DOC for chronic HE, diuretics are given to almost all the patient initially to relieve congestive symptoms.